Failure of Hertwig's epithelial sheath diaphragm to investigate the proper horizontal level leads to:
1. Taurodontism.
2. Dentin dysplasia.
3. Pulp polyp.
4. Amelogenesis imperfecta.

Correct answer: 1. Taurodontism.

Explanation: TAURODONTISM

Also called Bull-like teeth.
Originally described by Sir Arthur Keith in 1913 to describe a condition in which the body of the tooth is enlarged at the expense of roots.
Caused by the failure of Hertwig’s epithelial sheath diaphragm to investigate the proper horizontal level.